Multiple infection of red blood cell is seen with?
1. Plasmodium ovale
2. Plasmodium vivax
3. Plasmodium falciparum
4. Plasmodium malariae

Correct answer: 3. Plasmodium falciparum

Explanation: Ans. is 'c' i.e., P. falciparum